Nephrocalcinosis is seen in all except -
1. Sarcoidosis
2. Distal RTA
3. Milk alkali syndrome
4. Medullary cystic kidney

Correct answer: 4. Medullary cystic kidney